Co-enzymes of pyruvate dehydrogenase are all except
1. Biotin
2. NAD
3. FAD
4. CoA

Correct answer: 1. Biotin